Hypocomplementemia is seen in -
1. Lupus nephritis
2. Focal glomerulonephritis
3. Minimal change disease
4. All

Correct answer: 1. Lupus nephritis